Gluconeogenesis occurs in ail except -
1. Liver
2. Kidney
3. Gut
4. Muscle

Correct answer: 4. Muscle

Explanation: Ans. is 'd' i.e.. Muscleo Gluconeogenesis occurs mainly in the liver and to a lesser extent in renal cortex.o Some gluconeogenesis can also occur in small intestine, but it is not significant,o Some of the reactions ofgluconeogenesis occurs in the mitochondria but most occur in cytosol,o Gluconeogenesis cannot occur in muscles.o Glucose-6-phosphatase is absent in muscles therefore, glucose-6-phosphate cannot be degraded to free glucose in muscles. Moreover, glucose-6-phosphate cannot diffuse out of the muscles. Therefore, muscle cannot provide glucose to maintain blood glucose level. Rather, muscle glycogen acts as a source of energy#; the glucose-6- phosphate enters the glycolysis to produce energy.